Which of the following is a phasic receptor?
1. Ruffinis Ending
2. Merkels Disc
3. Meissners Corpuscle
4. Krause's End Bulb

Correct answer: 3. Meissners Corpuscle

Explanation: ANSWER: (C) Meissners CorpuscleREF: Ganong 24th ed page 158APPENDIX-13 below for "MECHANORECEPTORS" APPENDIX - 13MechanoreceptorsReceptorEndingSiteFibreTypeSensationFigurePaciniancorpuscleEncapsulated (onion like)Dermis, deep fibrous tissuej'V? fibersRapidadapting(phasic)Pressure, Vibration (200- 300 Hz), touchMeissnerscorpuscleEncapsulatedNon hairy superficial skin (lip, nipple, prepuce, fingertip)Aft fibersRapidadapting(phasic)Pressure, Vibration (50 Hz), touchRuffini'sendingSprayendingDermis, deep fibrous tissueA/3 fibersSlowadapting(tonic)Heat, Pressure, touchMerlel'sdiscExpandedHairy Superficial skinA/3 fibersSlowadapting(tonic)Tactilelocalization,continuoustouchKrauses end bulbEncapsulatedSkinAd and C-fibersSlowadapting(tonic)ColdFree nerve endingEncapsulatedSkin, muscle, visceraAd (Fastpricking pain) C- fiber (slow- aching pain)NonadaptingNociception-painGolgitendonorganMuscleendingJoint space, muscleAct fiberSlowadapting(tonic)Proprioception, position senseMusclespindleMuscleendingMuscleAa fiberSlowadapting(tonic)Stretch